Gas most suited for laproscopy is -
1. Air
2. Nitrogen
3. CO
4. Carbon dioxide

Correct answer: 4. Carbon dioxide

Explanation: Ans. is `d' i.e., Carbon dioxide